Mitochondrial DNA (mt- DNA) is known for all except
1. Maternal inheritance
2. Heteroplasmy
3. Leber hereditary optic neuropathy is the prototype
4. Nemaline myopathy results due to mutations in mt- DNA

Correct answer: 4. Nemaline myopathy results due to mutations in mt- DNA

Explanation: Mitochondrial DNA is the small circular chromosome found inside mitochondria. These organelles found in cells have often been called the powerhouse of the cell. The mitochondria, and thus mitochondrial DNA, are passed only from mother to offspring through egg cell.In most multicellular organisms, mtDNA is inherited from the mother (maternally inherited). Mechanisms for this include simple dilution (an egg contains on average 200,000 mtDNA molecules, whereas a healthy human sperm was reported to contain on average 5 molecules ), degradation of sperm mtDNA in the male genital tract, in the fertilized egg, and, at least in a few organisms, failure of sperm mtDNA to enter the egg. Whatever the mechanism, this single parent (uniparental inheritance) pattern of mtDNA inheritance is found in most animals, most plants and in fungi as well.